About posterior cruciate ligament, the true statement is -
1. Prevent posterior displacement of tibia
2. Attaches to lateral femoral condyle
3. Intra synovial
4. Inserted on medial side of medial femoral condyle

Correct answer: 1. Prevent posterior displacement of tibia

Explanation: Posterior cruciate ligament originates from the posterior part of the intercondylar area of tibia and inserts onto the anterior part of the lateral surface of the medial femoral condyle. It is intracapsular but extrasynovial and prevents posterior displacement of the tibia over the femur.